Paul Bunnel test is done for?
1. HBV
2. EBV
3. CMV
4. HIV

Correct answer: 2. EBV

Explanation: EBV REF: Textbook of Microbiology & Immunology by Parija 2009 Page 504 Heterophil antibodies, which is an antibody against EBV cross reacts with red blood cells of different animal species. This can be used as a rapid screening test for mononucleosis (Monospot test and Paul Bunnell tests) The Paul-Bunnell test uses sheep erythrocytes; the Monospot test, horse red cells.blood cells. In infectious mononucleosis, IgM heterophil antibodies are usually detectable for the first 3 months of infection.